Drug of choice for chronic myeloid Leukemia (CML) is:
1. Hydroxyurea
2. Imatinib
3. Inflliximab
4. IFN

Correct answer: 2. Imatinib

Explanation: Imatinib mesylate is the drug of choice for the management of chronic myeloid leukemia. Imatinib mesylate is an inhibitor of tyrosine kinase activity on BCR-ABL proteins and thereby inducing apoptosis. It produces much better haematologic and cytogenetic responses than the previous standard therapy. Though IFN and hydroxyurea are used in the management of CML, Imatinib is the preferred drug in the options provided. So Imatinib is the single best answer of choice. Ref: Harrison's Principles of Internal Medicine, 16th Edition, Pages 638-40; Manual of Practical Medicine By R Alagappan, 3rd Edition, Page 348